Pudendal nerve root value:
1. L5 S1 roots
2. S1 S2 roots
3. L2 L3 roots
4. S2 S3S4 roots

Correct answer: 4. S2 S3S4 roots

Explanation: Pudendal nerve arises from the sacral plexus in the pelvis( S2- S4). Pudendal nerve is nerve of perineum. External urethral sphincter supplied by pudendal nerve.